Which body fluid has maximum HIV load?
1. Urine
2. blood
3. Breast milk
4. Saliva

Correct answer: 2. blood

Explanation: virus has been found in greatest concentration in blood,semen,CSF lower concentration have been detected in tears,saliva,breast milk,urine,cervical and vaginal secretions also isolated in brain tissue,lymph node,bone marrow cells,skin (park edition 23 page 345)